A 20-year-old female complains of vaginal bleeding. Diagnostic workup reveals clear cell adenocarcinoma of the vagina. A maternal history should be obtained for use of?
1. Thalidomide
2. Oral DES
3. Loss of sensation in the scrotum
4. absent bulbocavernosus refl

Correct answer: 2. Oral DES

Explanation: Oral DES was given to patients who were unable to conceive. Fortunately, this complication is unlikely to occur, because DES has been withdrawn as a drug used for this purpose.